Hydatid cyst is caused by?
1. Trypanosoma cruzi
2. Taenia solium
3. Taenia saginata
4. Echinococcus granulosus

Correct answer: 4. Echinococcus granulosus

Explanation: Hydatid disease Caused by ingestion of eggs of echinococcal species. Definitive host is the dog Intermediate hosts are sheep